Which of the following is the treatment of choice for Atrial Fibrillation in patients with WPW Syndrome who are hemodynamically unstable:
1. Procainamide
2. Digoxin
3. DC Cardioversion
4. Radiofrequency Ablation of the bypass tract

Correct answer: 3. DC Cardioversion

Explanation: Answer is C (DC Cardioversion) DC Cardioversion is the treatment of choice to terminate Atrial Fibrillation in patients with WPW Syndrome who are hemodynamically unstable (Life threatening Situations).